Abbey-Estlander flap is used in the reconstruction of:
1. Buccal mucosa
2. Lip
3. Tongue
4. Palate

Correct answer: 2. Lip